Anti–TNF alpha drugs are used for the treatment of all of following diseases EXCEPT :
1. Systemic lupus erythematosis
2. Seronegative arthritis
3. Psoriatic arthritis
4. Crohn's disease

Correct answer: 1. Systemic lupus erythematosis

Explanation: There is already under-expression of TNF-α in SLE, therefore we cannot use anti-TNF drugs for this condition. It is further strengthened by the fact that anti-TNF alpha drugs like infliximab cause SLE as the adverse effect.
Indications for TNF-α inhibitors

Rheumatoid arthritis
Juvenile arthritis
Psoriatic arthritis
Psoriasis
Ankylosing spondylitis
Crohn's disease